Echinocytes are types of -
1. RBC's
2. Lymphocytes
3. Monocytes
4. Platelets

Correct answer: 1. RBC's

Explanation: Echinocytes commonly referred as Burr cells are red cells with morphological abnormalities.They are cell fragments having one or more spines.They are particularly found in uraemia. Ref: Harsh Mohan textbook of pathology, 7th edition.Pg no.269,270